Upper segment to lower segment ratio in 3 yr age child is -
1. 12
2. 1.3
3. 1.4
4. 1.6

Correct answer: 2. 1.3

Explanation: Ans. is 'b' i.e., 1.3 o The lower segment extends from the symphysis pubis to the heels. o The lower segment grows rapidly after birth as compared to upper segment giving rise to the gradual reduction in the upper segment/lower segment ratio with the progression of age. Age Upper segment : Lower segment ratio At birth 1.7 : 1.0 3 years 1.3 -1.0 At 7 years 1.0 : 1.0 Thereafter 1.0:1.1